A 23-year-old man is admitted to the emergency department with a deep, bleeding stab wound of the pelvis. After the bleeding has been arrested, an MRI examination gives evidence that the right ventral primary ramus of L4 has been transected. Which of the following problems will most likely be seen during physical examination?
1. Reduction or loss of sensation from the medial aspect of the leg
2. Loss of the Achilles tendon reflex
3. Weakness of abduction of the thigh at the hip joint
4. Inability to evert the foot

Correct answer: 1. Reduction or loss of sensation from the medial aspect of the leg

Explanation: The ventral ramus of L4 contains both sensory and motor nerve fibers. Injury from a stab wound could result in loss of sensation from the dermatome supplied by this segment. L4 dermatome supplies the medial aspect of the leg and foot. Loss of the Achilles tendon reflex relates primarily to an S1 deficit. The obturator internus and gluteus medius and minimus are responsible for abduction of the thigh and are innervated by nerves L4, L5, and S1 (with L5 usually dominant). Nerves L5, S1, and S2 are responsible for eversion of the foot (S1 dominant)